All of the following are small vessels vasculitis, Except:
1. Classical PAN
2. Wegner's granulomatosis
3. HSP
4. Churg Strauss Syndrome

Correct answer: 1. Classical PAN

Explanation: Answer is A (Classical PAN): Classical PAN is a predominantly medium vessel vasculitis and not a small vessel vasculitis.